Non-caloric sweetener is:
1. Xylitol.
2. Saccharin.
3. Sorbitol.
4. None.

Correct answer: 2. Saccharin.

Explanation: Caloric sweeteners 
• Xylitol
• Lactitol
• Sorbitol
• Lycasin
Non calorie sweeteners 
• Saccharin
• Asparatame (Nutra sweetner)